Kennedy phenomenon is seen in -
1. Road traffic accident
2. Gunshot injury
3. Burns
4. Contusion

Correct answer: 2. Gunshot injury

Explanation: Kennedy phenomenon is seen in a gun shot injury . In reference to 35th American president J.F Kennedy who died of gun shot ,during the autopsy it was difficult to differentiate the entry wound & exit wound due to surgical alterations. Ref: NCBI.org